A child presents with recurrent bouts of severe cough followed by an audible whoop. Which of the following is considered the best type of specimen to isolate the organism and confirm the diagnosis.
1. Nasopharyngeal swab
2. Cough plate
3. Throat Swabs
4. Anterior Nasal Swab

Correct answer: 1. Nasopharyngeal swab

Explanation: Presence of recurrent bouts of severe cough followed by an audible whoop suggests a diagnosis of pertusis (Whooping cough).
Nasopharyngeal Swab is the single best specimen to isolate the organism from the options provided.